Oil and Grease are sterilized by:
1. Hot air oven
2. Autoclaving
3. Filtration
4. Irradiation

Correct answer: 1. Hot air oven

Explanation: Ans: A (Hot air oven) Ref: A nanthana ray an, Paniker CJ. Textbook of microbiology. 8th Edition. London: John Wiley & Sons: 2009. Pg. 30-38.Explanation: (See table below) Disinfectant/ SterilisationActive againstUseEthyl alcoholBactericidal but not sporicidalSkin antisepticsMethyl alcoholActive against bacterial and fungal sporesCabinets & incubatorsIsopropyl alcoholBactericidal but not sporicidalDisinfection of suture material, clinical thermometersFormaldehydeBactericidal, sporicidal & virucidalOT fumigationGlutaraldehydeBactericidal, sporicidal & virucidal (less toxic/irritant)Bronchoscopes, endoscopes, cystoscopesHypochloriteBactericidal, sporicidal & virucidalBlood spillChlorhexidineBactericidal, mo cerate sporcidal & virucidalTreatment of woundsEthylene oxideBactericidal, sporicidal & virucidal(highly penetrating gas)Heart lung machines, respirators, dental equipmentAutoclaveAll organismsDressings, instruments, media, linenHot air ovenAll organismsGlassware, Glass syringes, Grease, oi. liquid paraffin, dusting powder